With respect to basic anatomy of bones, all of the following statements are true EXCEPT?
1. Diaphysis is derived from primary ossification center
2. Compact bone is present in diaphysis of long bone
3. Cancellous bone is present in epiphysis of long bone
4. Haversian system is absent in compact bone

Correct answer: 4. Haversian system is absent in compact bone

Explanation: Haversian system is present in compact bone. Compact bone has concentric lamellae and haversian canal is present in its centre. Haversian system is absent in cancellous bones Diaphysis is derived from primary ossification center Cancellous bone/ Spongy bone - Present at ends . Eg : Epiphysis of long bone. Compact bone/Cortical bone - Present at shaft. Eg : Diaphysis of long bone.